Mechanism involved in the absorption of glucose from small intestine is which of the following:
1. Active co-transport with sodium
2. Passive diffusion
3. Facilitated diffusion
4. Active co-transport with potassium

Correct answer: 1. Active co-transport with sodium

Explanation: Ans. A: Active co-transport with sodium